The best cosmetics results for large capillary (port wine) hemangiomas are achieved by
1. Exision and split-thickness skin
2. Laser ablation
3. Cryosurgery
4. Tattooing

Correct answer: 2. Laser ablation

Explanation: Port wine stain treatment is with intense pulsed light and pulse dye laser . PWS may be associated with various syndroms Sturge-Weber syndrome Klippel-Trenaunay syndrome Proteus syndrome: Bailey and love 26th edition pg 599